Sensitivity measures the proportion of
1. False positive
2. False negative
3. Actual positive
4. None

Correct answer: 3. Actual positive

Explanation: (C) Actual positive > Sensitivity (also called recall rate in some fields) measures the proportion of actual positives which are correctly identified as such (e.g. the percentage of sick people who are identified as having the condition).> Specificity measures the proportion of negatives which are correctly identified (e.g. the percentage of healthy people who are identified as not having the condition).# False positive rate> The false positive rate is the proportion of negative instances that were erroneously reported as being positive.> The false positive rate is equal to the significance level. The specificity of the test is equal to 1 minus the false positive rate.> {false positive rate} = {number of false positives} {total number of actual negative instances}}> The total number of actual negative instances is equal to the number of false positives plus the number of true negatives.> In statistical hypothesis testing, this fraction is given the Greek letter a, and 1 - a is defined as the specificity of the test. Increasing the specificity of the test lowers the probability of type I errors, but raises the probability of type II errors (false negatives that reject the alternative hypothesis when it is true).# False negative rate> The false negative rate is the proportion of positive instances that were erroneously reported as negative, {false negative rate} = {number of false negatives} {total number of actual positive instances}> The total number of actual positive instances is equal to the number of true positives plus the number of false negatives.> In statistical hypothesis testing, this fraction is given the letter b. The "power" (or the "sensitivity") of the test is equal to 1 minus b.